Epidemic pleurodynia is caused by
1. Coxsackie B virus
2. Coxsackie A virus
3. Polio virus
4. Entero virus

Correct answer: 1. Coxsackie B virus

Explanation: Bornholm's disease(epidemic pleurodynia)(devil's grip) is caused by Coxsackie B- virus.